What is the treatment of choice in patients with congestive heart failure with ejection fraction < 40% and normal fluid levels achieved?
1. ACE inhibitors + Diuretics
2. ACE inhibitors+ Beta blockers
3. ACE inhibitors + ARBs
4. ACE inhibitors + CCBs

Correct answer: 2. ACE inhibitors+ Beta blockers

Explanation: The Drug of choice used in congestive heart failure with reduced ejection fraction is ACE inhibitors + diuretics. Once euvolumic status is achieved, ACE inhibitors+beta blockers are drugs of choice.